The medium used for Mycobacterium tuberculosis is -
1. Sabouraud's medium
2. LJ medium
3. Pike's medium
4. NIH medium

Correct answer: 2. LJ medium